Epidermal Bullosa Acquisita is characterized by
1. Immunoglobulins against collagen 7
2. IgA against BP2
3. Immunoglobulins against BP2
4. Immunoglobulins against Dsg-1

Correct answer: 1. Immunoglobulins against collagen 7

Explanation: Epidermal Bullosa Acquisita : Immunoglobulins against collagen 7
Epidermal Bullosa Dystrophica : absence of collagen 7